All of the following about Xanthogranulomatous pyelonephritis is true Except
1. On cut section yellowish nodules are seen
2. Associated with tuberculosis
3. Foam cells are seen
4. Giant cells are seen

Correct answer: 2. Associated with tuberculosis

Explanation: Xanthogranulomatous pyelonephritis It is an unusual and rare form of chronic pyelonephritis associated with Proteus infections. MORPHOLOGY Gross: Cut surface shows large, yellowish-orange nodules, which may be confused with renal cell carcinoma. Microscopy: Interstitium shows foamy macrophages, plasma cells, and lymphocytes Clinical Features Chronic pyelonephritis associated with reflux may be a silent onset. Usual symptoms are back-pain, fever, pyuria, and bacteriuria Ref: RAM DAS NAYAK EXAM PREPARATORY MANUAL FOR UNDERGRADUATES 2nd ed. pg no: 619